Gestational sac is seen by TVS at-
1. 5 weeks
2. 6 weeks
3. 7 weeks
4. 8 weeks

Correct answer: 1. 5 weeks

Explanation: Ans. is 'a' i.e., 5 weeks [Ref: Dutta's Obs 7th/ep. 68}TVS showso Gestational sac & yolk sac - 5th weeko Fetal pole & cardiac activity - 6th weeko Embryonic movements - 7th weeko Fetal gestational age is best determined by CRL between 7th to 12th weeks (variation +/- 5 days)o Doppler effect of ultrasound can pick up heart rate by 10lh week.